Bone marrow in AL amyloidosis shows -
1. Bone marrow plasmacytosis
2. Granulomatous reaction
3. Fibrosis
4. Giant cell formation

Correct answer: 1. Bone marrow plasmacytosis

Explanation: Ans. is 'a' i.e., Bone marrow plasmacytosiso AL amyloid is due to proliferation of B cells and plasma cells (plasmacytosis).